Monro-kellie doctrine is related to injury of -
1. Head
2. Abdomen
3. Chest
4. Leg

Correct answer: 1. Head

Explanation: Ans. (a) Head(Ref: Ganong, 25th ed/p.603)Monro - Kellie doctrine states that the skull comprises of three components namely blood, CSF and cerebral parenchyma.If any of the component increases, it is always at the cost of others.For example, if there is obstruction to CSF flow, then CSF pressure rises and it automatically compress brain parenchyma and blood flow